In a warfarin treated patient skin necrosis is found in : a) Protein C deficiency b) Protein S deficiency c) AT III deficiency d) Factor VII deficiency e) Factor X deficiency
1. bd
2. ad
3. ab
4. ac

Correct answer: 3. ab